Structure that DOES NOT pass through lesser sciatic foramen:
1. Pudendal nerve
2. Internal pudendal vessels
3. Tendon to obturator internus
4. Tendon to obturator externus

Correct answer: 4. Tendon to obturator externus

Explanation: Lesser sciatic foramen is formed by the lesser sciatic notch and the sacrotuberous and sacrospinous ligaments. Structures that pass through the foramen are:Tendon to obturatur internusNerve to obturatur internusPudendal nerve andInternal pudendal artery and veinRef: Snell's, Clinical Anatomy, 7th Edition, Page 602.